Which of the following spinal tracts controls the skilled voluntary movements?
1. Lateral corticospinal tract
2. Tectospinal tract
3. Reticulospinal tract
4. Rubrospinal tract

Correct answer: 1. Lateral corticospinal tract

Explanation: The lateral corticospinal tract is concerned with skilled movements of the extremities. Lesion of corticospinal tract results in hypotonia. hyperactive deep tendon reflexes, extensor toe response (Babinski sign) and loss of superficial abdominal reflexes. Rubrospinal tract: It is primarily concerned with the flexor muscle group tone and represents a nonpyramidal pathway of motor control. Lesions rostral to the red nucleus remove cortical inhibition of rubrospinal neurons resulting in flexor posturing. Medullary reticulospinal tract: It inhibits antigravity muscles, depresses cardiovascular response and inspiratory phase of respiration. Lesion result in increase in extensor tone or decerebrate rigidity. Pontine reticulospinal tract: facilitate antigravity muscles. Lesion result in decerebrate rigidity.